Isolation period of Hepatitis A after the onset of jaundice is:
1. 1 week
2. 2 week
3. 3 week
4. 4 week

Correct answer: 1. 1 week

Explanation: Isolation: The period of isolation is determined by the duration of communicability of the disease and the effect of chemotherapy on infectivity. Period of infectivity: the risk of transmitting Hepatitis A virus is greatest from 2 weeks before to 1 week after the onset of jaundice. Thus isolation of the patient 2 weeks before and one week after jaundice is necessary. Must know: Hepatitis A is caused by a Hepatitis A virus of genus hepatovirus. Humans are the only known resovoirs and their main mode of transmission is feco-oral route. Natural infection with Hepatitis A virus gives life long immunity. Ref: Park's Textbook of Preventive and Social Medicine, 18th Edition, Page 101,168.